The antifungal which has a bactericidal mode of action against dermatophyte infections in therapeutic doses is :
1. Fluconazole
2. Terbinafine
3. Itraconazole
4. Ketoconazole

Correct answer: 2. Terbinafine